All are true about SALK vaccine except -
1. It prevents paralysis
2. Oral polio can be given as booster
3. It is contraindicated in immunocompromised patients
4. Easily transported

Correct answer: 3. It is contraindicated in immunocompromised patients

Explanation: Ans. is 'c' i.e., It is contraindicated in immunocompromised patients Advantages of IPV 1) Being an inactivated vaccine, it is safe to administer in - i) Persons with immunodeficiency ii) Persons undergoing corticosteroid or radiotherapy iii) During pregnancy 2) One or two doses of live vaccine (OPV) can be given safely as booster after an initial course of immunization with TV. 3) Does not require stringent conditions during storage and transportation. Has a longer shelf life. 4) No risk of vaccine associated paralytic polio.